Nucleus of trigeminal nerve is located in all except
1. Mid brain
2. Pons
3. Medulla
4. Thalamus

Correct answer: 4. Thalamus

Explanation: Nuclei of trigeminal nerve 1.Motor nucleus -located in the upper pons. 2.Mesencephalic nucleus-located in the midbrain. 3.Superior sensory nucleus-located in the upper pons 4.Spinal nucleus-located from upper pons to C2 segment of spinal cord. REF.B D Chaurasia's Human Anatomy,Vol.3,Pg.340